Not true about mucinous cystadenoma pancreas
1. Microcystic adenoma
2. Lined by columnar epithelium
3. Pre malignant
4. Focus of ovarian stroma in it

Correct answer: 1. Microcystic adenoma

Explanation: .Mucinous cystic neoplasms are more common. They are common in females (90%). They are common in tail and body. They do not communicate with main pancreatic duct. Mucus secreting columnar epithelium with dense ovarian like stroma is typical histology. It can be mucinous cystadenoma; borderline; in situ; mucinous cystadenocarcinoma. Mucinous tumours may show high levels of CEA but low levels of amylase. Presentations may be mass abdomen (large epigastric mass, non mobile, not moving with respiration), abdominal pain, back pain. Survival rate for mucinous cystadenocarcinoma is 50%. ref:SRB'S manual of surgery,ed 5,pg no 631